RMP of smooth muscle is
1. -50mv
2. -75mv
3. -90mv
4. -35mv

Correct answer: 1. -50mv

Explanation: Average RMP value is approx -50mV. (Ref: Textbook of physiology AK Jain 5th edition page no.188)